Shohl's solution is -
1. Sodium citrate
2. Potassium binding resin
3. Lugol iodine
4. Radio-iodine

Correct answer: 1. Sodium citrate

Explanation: Answer- A. Sodium citrateSodium citrate (Shohl's solution) or NaHCO: tablets (650-mg tablets contain 7.8 mEq) are equally effective alkalinizing salts.Citrate enhances the absorption of aluminum from the gastrointestinal tract and should never be ginen together with aluminum containing antacids because of the risk of aluminum intoxication.